An abutment tooth exhibiting an unfavorable survey line should:
1. Be restored
2. Have unfavorable contours improved
3. Be by-passed in the frame work design
4. Receive only a rest and not to be clasped

Correct answer: 2. Have unfavorable contours improved